adult scabies does not involve ?
1. finger wb
2. wrists
3. face
4. periumbilical area

Correct answer: 3. face

Explanation: DEFINITION * Scabies is an itchy skin condition caused by a tiny burrowing mite called Sarcoptes scabiei. * Scabies is contagious and can spread quickly through close physical contact in a family, child care group, school, class or nursing home. TREATMENT * Scabies treatment involves eliminating the infestation with medications. Several creams and lotions are available. The person usually apply the medication over all body, from neck down, and leave the medication on for at least eight hours. A second treatment is needed if new burrows and rash appear. * Because scabies spreads so easily, the doctor may recommend treatment for all family members and other close contacts, even if they show no signs of scabies infestation. ref : thomas habif 7th ed